Regarding stones in gall bladder the following are true except:
1. Mixed stones are common in the west
2. In Saints triad diverticulosis of colon and hiatus hernia co exist
3. 90% of gall stones are radio-opaque
4. Is a risk factor in the development of GB carcinoma

Correct answer: 3. 90% of gall stones are radio-opaque

Explanation: Ans: c (90% of gall stones are radioopaque)Ref: Bailey & Love, 24th ed, p. 1103, 1104 p. 1095 for 'd' & 23rd ed, p. 975 for 'c'